Disease due to microdeletion of chromosome 15 is?
1. WAGR syndrome
2. DiGeorge syndrome
3. Prader villi syndrome
4. Charcot-Marie-Tooth syndrome

Correct answer: 3. Prader villi syndrome

Explanation: ANSWER: (C) Prader villi syndromeREF: Harrison's 18th ed ch: 62Indirect repeat Pathology 2012 Session 1 (see table of microdeletion syndromes)